Medical etiquette is related to
1. Moral principles followed by doctors
2. Legal responsibilities of doctors
3. Courtesy observed between doctors
4. Rules to be followed by doctors

Correct answer: 3. Courtesy observed between doctors

Explanation: Medical etiquette:- It deals with the conventional laws of courtesy observed between members of the medical profession. A doctor should behave with his colleagues as he would have them behave with himself. Medical jurisprudence (juris= law; prudentia = knowledge):- It deals with legal responsibilities of the physician with particular reference to those arising from physician-patient relationship, such as medical negligence cases, consent, rights and duties of doctors, serious professional misconduct, medical ethics, etc. In short, it deals with legal aspects of practice of medicine. Ref:- k s narayan reddy; pg num:-01